Pigment producing atypical mycobacteria -
1. M. fortuitum and M. chelonae
2. M. xenopi and MAC
3. M. gordonae and M. szulgai
4. M. ulcerans

Correct answer: 3. M. gordonae and M. szulgai

Explanation: Pigment producing atypical mycobacteria:

Photochromogen: M marinum, M simiae, M. asciaticum, M kansasii,
Scotochromogen: M. scrofulaceum, M szulgai, S.gordonae